Mycosis fungoides which is not true –
1. It is the most common form of cutaneous lymphoma
2. Pautriers microabscess
3. Indolent course and good prognosis, easily amenable to treatment
4. Erythroderma seen and spreads to peripheral circulation

Correct answer: 3. Indolent course and good prognosis, easily amenable to treatment

Explanation: Mycosis fungoides is an indolent cutaneous T-cell lymphoma (indolent course) but is inevitably fatal (not easily amenable to treatment), except for patients in stage I.
MF is the most common primary cutaneous lymphoma.
Pautrier microabscess is characteristic of MF.
Erythroderma can occur in MF.